8 year old boy, history of fall from 10 feet Pain in the right ankle. X-ray normal at that time after 2 years he developed calcaneovalgus deformity,likely diagnosis
1. Tibial epiphyseal injury
2. Fibular fracture
3. Bimalleolar fracture
4. Subtalar joint injury

Correct answer: 1. Tibial epiphyseal injury